True about mycetoma -
1. Commonly occurs in hands
2. Commonly erodes bone
3. Drains through lymphatics
4. Antibiotics has no role

Correct answer: 2. Commonly erodes bone

Explanation: Mycetoma 

Commonly occurs in the foot.
The infection runs as a relentless course over many years, with the destruction of contiguous bone and fascia.
Spread to distant sites does not take place (does not drain through lymphatics).


Actinomycetoma may respond to prolonged combination chemotherapy eg. streptomycin and dapsone.

Treatment 
Actinomycetoma

May respond to prolonged combination chemotherapy - Streptomycin and dapsone or streptomycin and cotrimoxazole.

Eumycetoma

Rarely respond to chemotherapy.
Some cases caused by madurella mycetomatis may respond to ketoconazole or itraconazole.